Which is the most common clinical feature of Ewing's sarcoma?
1. Fever
2. Limp
3. Pain
4. Palpable mass

Correct answer: 3. Pain

Explanation: Ans. C. Pain. (Ref. Practical Orthopedics by Ebnezar/pg.92).Ewing's sarcoma: Clinical history# patient is usually male.# Age grp 4-25 yrs# Long bones most commonly affected# Pain is the presenting feature. Pain may be intermittent and worse at night.# Swelling locally and limp may be present.# PatientCLINICAL FINDINGS of Osteosarcoma and Ewing Sarcoma OsteosarcomaEwing SarcomaLocal tenderness94 (92%)33 (70%)Palpable mass40 (39%)16 (34%)Painful movement of joint40 (39%)16 (34%)Restricted movement of joint23 (23%)8 (17%)Fever (reported or measured)3 (3%)14 (30%)Atrophy of muscle5 (5%)0 (0%)Limpt (noted or reported)28 (31%)19 (40%)